Incubatory carrier seen in -a)  Cholerab)  Bubonic plaguec)  Mumpsd)  Measles e)  Influenza
1. ba
2. aec
3. cde
4. ce

Correct answer: 3. cde